The fascia separating rectum form coccyx is called
1. Scarp's fascia
2. Waldeyer's fascia
3. Denonvillier's fascia
4. Colles fascia

Correct answer: 2. Waldeyer's fascia

Explanation: The lower third of the rectum is separated by a fascial condensation - Denonvilliers' fascia - from the prostate/vagina in front, and behind by another fascial layer - Waldeyer's fascia - from the coccyx and lower two sacral vertebrae (Table 68.1). These fascial layers are surgically important as they are a barrier to malignant invasion Ref: Bailey & Love's Short Practice of Surgery,E25,Page-1219